All the following are the examples of intracytoplasmic inclusion bodies except:
1. Molluscum bodies
2. Guarneri bodies
3. Bollinger bodies
4. Owl's eye bodies

Correct answer: 4. Owl's eye bodies

Explanation: Owl's eye bodies are intranuclear inclusion bodies. Characteristic features of the cell infected by CMV (Cytomegalovirus). These cells are found in most tissues of the body and in the urine. INCLUSION BODIES- Intracytoplasmic: * Negri body - Rabies * Guarneri body - Vaccinia * Paschen body - Variola * Bollinger body - Fowl pox * Molluscum body - Molluscum contagiosum Intranuclear: * Cowdry A - Herpes (Lipschultz body), Yellow fever (Torres body) * Cowdry B - Adenovirus, Poliovirus Intracytoplasmic and Intranuclear: * Measles * CMV - intranuclear bodies called as Owl's eye appearance.